True about blunt abdominal trauma with splenic rupture
1. Kehr's sign-discoloration around umblicus
2. Spleen is most common organ to be involved
3. Splenorrhaphy is treatment of choice for splenic rupture
4. Cullen's sign seen

Correct answer: 2. Spleen is most common organ to be involved

Explanation: Splenic rupture: It can be subcapsular haematoma, laceration or hilar injury. It can be associated with other organ injuries like left kidney, left lobe of the liver, splenic flexure of the colon or pancreas. It can cause torrential haemorrhage and shock. It is the most common organ injured in blunt injury abdomen. Management x Ultrasound abdomen, diagnostic peritoneal lavage are the inverts- tigations. x Blood transfusions. x Splenorrhaphy is done in selected patients so as to save the spleen. x Splenectomy. x Management of associated injuries. Ref: SRB manual of surgery. 5th edition. Pg no:146